All are true about Tourette syndrome, EXCEPT :
1. Motor tics
2. More common in females
3. Associated with OCD
4. Neuroleptics are used in the treatment

Correct answer: 2. More common in females

Explanation: It is more common in males than females.